A dideoxynucleotide does not contain
1. 2' & 3' OH group
2. 3' & 4' OH group
3. 4' & 5' OH group
4. 2' & 5' OH group

Correct answer: 1. 2' & 3' OH group

Explanation: Dideoxy nucleotide Lacks 3' OH group also. Stop the chain elongation when they are incorporated. DNA polymerase requires 3' OH group to begin polymerisation. Use: Sanger chain termination method of DNA sequencing. Didanosine is a dideoxynucleotide used in the therapy of HIV.